False about hypospadias
1. Defect seen in dorsal penis
2. A/w chordee
3. A/w hooded prepuce
4. Circumcision should be avoided

Correct answer: 1. Defect seen in dorsal penis

Explanation: Hypospadias occurs in one in 200–300 boys and is the most common congenital malformation of the urethra. The external meatus opens on the underside(ventral) of the penis or the perineum, and the ventral aspect of the prepuce is poorly developed (‘hooded prepuce’).
The more severe varieties of hypospadias represent an absence of the urethra and corpus spongiosum distal to the ectopic opening. The absent structures are represented by a ﬁbrous cord, which deforms the penis in a downward direction (chordee). Avoid circumcision as prepuce may be used in procedures to correct the abnormality(urethroplasty).